Drugs of choice for the treatment of neurocysticercosis are :
1. Hydroquinone and metronidazole
2. Metronidazole and pyrantel pamoate
3. Albendazole and praziquantel
4. Cyclophosphamide

Correct answer: 3. Albendazole and praziquantel